"Chagas Disease" is caused by:
1. Trypanosoma
2. Brucella
3. Trichenella
4. Bartonella

Correct answer: 1. Trypanosoma

Explanation: Trypanosoma